A 70-year-old woman presents with a tender irreducible mass immediately below and lateral to the pubic tubercle. Plain abdominal x-ray shows intestinal obstruction Treatment with a nasogastric tube and intravenous fluids is initiated. What is the next step in treatment?
1. Sedation to relax the patient and allow spontaneous reduction of the mass
2. Sedation and surgery scheduled for the next elective surgical appointment
3. Sedation and manual taxis (reduction)
4. Emergency surgery on the left groin

Correct answer: 4. Emergency surgery on the left groin

Explanation: This patient has a strangulated femoral hernia. Emergency surgery after appropriate resuscitation is the correct treatment. Gangrene of strangulated bowel may be present. No attempt at manual reduction should be made because gangrenous bowel may be returned to the peritoneal cavity.